Superior thoracic aperture is bounded by following except
1. T1 vertebra
2. 1st pair of ribs and their costal cartilage
3. Superior border of the manubrium
4. Xiphoid process

Correct answer: 4. Xiphoid process

Explanation: Superior thoracic aperture is not bounded by Xiphoid process B D CHOURASIAS HUMAN ANATOMY UPPER LIMB THORAX VOLU, 1 SIXTH EDITION, PAGE NO, 190